All of the following may be used to differentiate Central Retinal Venous Occlusion (CRVO) from Ocular Ischemic Syndrome due to Carotid Artery Stenosis, Except
1. Dilated retinal vein
2. Tortuous retinal vein
3. Retinal artery pressure
4. Ophthalmodynamometry

Correct answer: 1. Dilated retinal vein

Explanation: Ans. (a) Dilated Retinal veinRef: Yanoff 3/e, p. 625Central Retinal vein occlusion and Ocular Ischemic Syndrome due to carotid artery stenosis are both associated with dilated Retinal veins and hence this feature cannot be used to distinguish these conditions.